Meningococci differ from gonococci in that they?
1. Are intra-cellular
2. Possess a capsule
3. Cause fermentation of glucose
4. Are oxidase positive

Correct answer: 2. Possess a capsule

Explanation: Ans. is 'b' i.e., Possess a capsule